For frost-bite rewarming, the temperature should be:
1. 20? C
2. 25? C
3. 37? C
4. 42? C

Correct answer: 4. 42? C

Explanation: For frost-bite rewarming, the temperature should be: 40-44 degree C Gently rewarm frostbitten areas. Soak the frostbitten areas in warm water -- 104-111 degree F (40-44 DEGREE C). If a thermometer isn't available, test the water by placing an uninjured hand or elbow in it -- it should feel very warm -- not hot. Rewarming takes about 30 minutes. Stop the soaking when the skin becomes its normal colour or loses its numbness.